Which of the following antimalarial drug is a slow acting erythrocytic schizonticidal drug for malaria?
1. Artemether
2. Mefloquine
3. Pyrimethamine
4. Quinine

Correct answer: 3. Pyrimethamine

Explanation: Erythrocytic schizonticides may be fast acting or slow acting: Fast acting M - Mefloquine A - Atovaquone C - Chloroquine (and amodiaquine and piperaquine) H - Halofantrine (and lumefant rine) A - Artemisinins R - Res-Q (Quinine) - Slow acting: Proguanil Pyrimethamine Sulfonamides T Tetracyclines Clindamycin